Which of the following tumors is most commonly associated with pseudo maxima peritonei
1. Appendix
2. Gall bladder
3. Stomach
4. Pancreas

Correct answer: 1. Appendix

Explanation: Refer Robbins page no Pg 9/e p816 Pseudomyxoma peritonei (PMP) is a clinical condition caused by cancerous cells (mucinous adenocarcinoma) that produce abundant mucin or gelatinous ascites. The tumors cause fibrosis of tissues and impede digestion or organ function, and if left untreated, the tumors and mucin they produce will fill the abdominal cavity. This will result in compression of organs and will destroy the function of colon, small intestine, stomach, or other organs. Prognosis with treatment in many cases is optimistic, but the disease is lethal if untreated, with death by cachexia, bowel obstruction, or other types of complications